Which of the following could prevent an allergen from reacting with a specific IgE molecule present on the mast cell membrane?
1. Antihistamine
2. Blocking antibody
3. Cromolyn sodium
4. Epinephrine

Correct answer: 2. Blocking antibody

Explanation: Blocking antibody is generally an IgG antibody against the allergen. It is induced in the allergic patient by administering small amounts of allergen over a period of time. When the person is again exposed to the allergen, the IgG reacts with the allergen before it can reach the IgE-coated mast cell. Antihistamines would block histamine receptors but would not react with the allergen before it could reach the IgE-coated mast cell. Cromolyn sodium is a drug that stabilizes mast cell membranes, thus inhibiting degranulation, but would have no effect on allergen binding to IgE on mast cells. Epinephrine is the mainstay of therapy in severe cases of immediate hypersensitivity (anaphylaxis). It increases intracellular cyclic AMP, thus decreasing mast cell degranulation, and causes smooth muscle dilation in the airways. Epinephrine would have no effect on the binding of the allergen to IgE on mast cells.